During embryonic development, prolapsed gut returns to the abdominal cavity by:
1. 12th week
2. 15th week
3. 18th week
4. 20th week

Correct answer: 1. 12th week

Explanation: During the sixth week of fetal development, the midgut grows too rapidly to be accommodated in the abdominal cavity and therefore prolapses into the umbilical cord. Between the tenth and twelfth weeks, the midgut returns to the abdominal cavity, undergoing a 270-degree counterclockwise rotation around the superior mesenteric artery. Because the duodenum also rotates caudal to the artery, it acquires a C loop that traces this path. Ref: Schwartz's principle of surgery 9th edition, chapter 39.